The drug of choice for prevention of seizures in a patient with severe preeclampsia is
1. Phenytoin
2. Magnesium sulphate
3. Diazepam
4. Nidedipine

Correct answer: 2. Magnesium sulphate

Explanation: given by i.v. infusion, it has been used for long to control convulsions and to reduce BP in toxaemia of pregnancy. As per WHO, it is the drug of choice for prevention and treatment of seizures in preeclampsia and eclampsia Ref: KD Tripathih 8th ed. page 333